In deceleration accident, which of the following fixed part of aorta is not ruptured
1. At the level of aortic valve
2. Behind the esophagus
3. Where it pierces the crura of diaphragm
4. At ligamentum arteriosum

Correct answer: 2. Behind the esophagus

Explanation: Ans. b. Behind the esophagus "The majority of blunt injuries to the thoracic aorta occur at aortic isthmus just distal to the left subclavian artery. Other locations include the transverse arch, proximal ascending aorta, and descending aorta just proximal to the diaphragm."- Sevitt S. The mechanisms of traumatic rupture of the thoracic aorta. Br J Surg 1977; 64; 166 "Tethering of aorta by the ligamentum arteriosum is believed to account for the high frequency of aortic injury in the isthmus region." Traumatic Aortic Rupture Traumatic aortic rupture is a cause of sudden death after an automobile collision or fall from a great heightdeg. Vessel is relatively fixed distal to the ligamentum arteriosum, just distal to the origin of the left subclavian aerydeg. Causes: Trauma to the chest, Rapid deceleration injury Clinical Presentation: Traumatic aortic rupture is lethal in 75-90% of patients and only 15-20% arrive at the hospital alivedeg. Approx. 90% of those who arrive alive at the hospital have an injury in the region of the aortic isthmus >Injuries to the ascending aortae. Usually associated with other injuries like solid organ. Diagnosis: X-ray chest: Widened mediastinume Aortography: Gold standard for diagnosis Contrast enhanced CT, Trans-esophageal Echocardiography (TEE) is useful in making diagnosis. Traumatic Aortic Rupture Clinical Features History of high-speed decelerationQ injury Flail chestQ Fractured sternumQ SVC syndromeQ Multiple or 1st or 2nd rib fracturesQ Upper extremity hypertension or pulse deficitsQ Hematoma in the carotid sheathsQ Interscapular bruitsQ Hoarseness with normal larynxQ Radiographic Features Widening of mediastinumdeg (70%)Q Esophageal deviation to the rightQ Tracheal deviation to rightQ Leftdeg apical cap (65%)Q Downward displacement of left main stem bronchusQ Right paratracheal stripe thickeningQ Deviation of NG tube to rightQ Left hemothoraxQ Displaced left paraspinal stripeQ Displaced right paraspinal stripeQ Treatment: Control of systolic BP to less than 100 mm HgQ Endovascular intra-aortic stentingeQ Direct repair or excision and grafting using a Dacron graftQ